Which of the following is aberrant epiphysis
1. Coracoid process
2. Greater tubercle of humerus
3. Base of 1" metacarpal
4. Base of 2nd metacarpal

Correct answer: 4. Base of 2nd metacarpal

Explanation: Aberrant epiphysis: is not always present example: epiphysis at the head of first metacarpal and base of other metacarpalRef BD CHAURASIA S Handbook of General Anatomy Fourth edition Pg no 42